Carbamazepine in elderly causes :
1. Hypernatremia
2. Hyponatremia
3. Hyperkalemia
4. Hypokalemia

Correct answer: 2. Hyponatremia